All are true about horners syndrome except:
1. Enophthalmos
2. Ipsilateral hypohydration
3. Dilated pupil
4. Ptosis

Correct answer: 3. Dilated pupil

Explanation: Ans: c (Dilated pupil)Ref: Harrison's, 16th ed, p 508,17th ed, p. 192Dilated pupil is not a feature of Homer syndrome. In Homer syndrome constricted pupil is seen.Horner syndromeHomer syndrome is due to involvement of sympathetic pathways to the eyes.Clinical featuresPtosisConstricted pupilEnophthalmosIpsilateral loss of sweating (hypohydration)Loss of ciliospinal reflexHomer syndrome may be associated with pancoast tumour.Congenital Horner syndrome -It is characterized by light color of the iris and ipsilateral facial hemiatrophy.Peripheral Horner syndrome -Lesion is distal to superior cervical ganglion (postganglionic)Sweating is not affectedCiliospinal reflex is absentCentral Horner's syndrome -Lesion is proximal to superior cervical ganglion (preganglionic)Sweating is affected (ipsilateral)Ciliospinal reflex is present